Low glucose in pleural effusion is seen in all, except
1. Dressler syndrome
2. Empyema
3. Malignant pleural effusion
4. Rheumatoid arthritis

Correct answer: 1. Dressler syndrome